One of the following is not reported to be a clinical manifestation of Zinc deficiency in childre-
1. Dwarfism and hypogonadism
2. Liver and spleen enlargement
3. Impaired cell-mediated immunity
4. Macrocytic anemia

Correct answer: 4. Macrocytic anemia

Explanation: Zinc deficiency resits in growth failure,sexual infantilism loss of taste,delayed wound healing,liver diseases,pernicious anaemia,thalassemia and myocardial infarctionREF.PARK'S TEXTBOOK OF PREVENTIVE AND SOCIAL MEDICINE.Editon-21.Page no.-577.